Sin needle used to kill animals is made of?
1. Dhatura seeds
2. Ratti seeds
3. Lead peroxide
4. Arsenic

Correct answer: 2. Ratti seeds

Explanation: Ans. is 'b' i.e., Ratti seeds In the folk medicine, seeds are ground in to paste and made into needles which are inserted under the skin of the animal. Thus the animal will be poisoned for obtaining the skin.Similar needles have also been used to produce criminal abortion"Abrus precatorius, known as Indian licorice, ratti or gunja is a slender, twining, climbing plant, woody at base and is found all over the India. All the parts of this plant are poisonous.Seeds were used only after they have been boiled in cow's milk for 3 hours. The herb was used for sciatica, stiffness of shoulder joint, for baldness, dandruff and other hair diseases, for erysipelas and obstinate skin diseases.